An example of unilateral fixed space maintainer is:
1. Crown and loop space maintainer
2. Nance palatal arch
3. Lingual arch space maintainer
4. Transpalatal arch

Correct answer: 1. Crown and loop space maintainer

Explanation: All other options are bilateral space maintainers.